Study done on a group of patients showed coefficient of variance for BP and serum creatinine to be 20% & 15% respectively. Inference is that:
1. Variation in BP is more than in serum creatinine.
2. Variation in serum creatinine is more than in BP
3. Standard deviation of BP is more than of creatinine
4. Standard deviation of creatinine is more than of BP.

Correct answer: 1. Variation in BP is more than in serum creatinine.

Explanation: Ans. is 'a' i.e. Variation in BP is more than in serum creatinine. Coefficient of Variance (CV) is a tool tocompare variability of two different characteristics (eg. BP, serum creatinine, height weight etc.) in the same group of subjects orcompare variability of the same character in two or more different groups.Thus it is a measure used to compare relative variability.For example, coefficient of variance measureswhether weight varies more than height in a group of studentwhether weight varies more in girls of boys.Thus in the above question - variability is more in BP than in serum creatinine value.* Since coefficient of variance is a ratio, it has no units of measurement (<dimensionless). It can be used to compare variability irrespective of the units of measurement used in two or more different group.For example - it can compare variability if height measures as cm in one group & inches in another group.